In a patient only anti HBsAg is positive in serum, all other markers are negative. This indicates -
1. Acute hepatitis
2. Chronic active hepatitis
3. Persistent carrier
4. Hepatitis B vaccination

Correct answer: 4. Hepatitis B vaccination